Chronic osteomyelitis is diagnosed mainly by:
1. Sequestrum
2. Bone fracture
3. Deformity
4. Brodie's abscess

Correct answer: 1. Sequestrum

Explanation: Sequestrum is the dead bone separated out from the living bone by the granulation tissue. The factors responsible for bone death in chronic osteomyelitis are: raised intravascular pressure Vascular stasis and small vessel thrombosis periosteal stripping bacterial toxins Sequestrum is the hall mark of chronic osteomyelitis Involucrum--periosteal new bone forming later